Posterior cerebral artery supplies all except
1. Pons
2. Midbrain
3. Thalamus
4. Striate cortex

Correct answer: 1. Pons

Explanation: Posterior cerebral artery (PCA) supplies blood to occipital lobe (i.e. visual or striate cortex), temporal lobe, thalamus, lentiform nucleus, pineal & medial geniculate body, choroids plexus of inferior horn of lateral ventricle & 3rd ventrical and mid brain.